All of the following can cause osteoporosis, EXCEPT:
1. Steroids
2. Fluorosis
3. Thyrotoxicosis
4. Hyperparathyroidism

Correct answer: 2. Fluorosis

Explanation: Osteoporosis is a skeletal disorder characterized by a loss of bone osteoid resulting in reduced bone integrity, thereby increasing the risk of fractures. Most common causes of osteoporosis are aging, highdose corticosteroid, thyrotoxicosis, hyperparathyroidism, alcoholism, sex hormone deficiency, particularly menopause in women, tobacco, etc. Osteoporosis is caused by a reduction and disarray of bone's microarchitectural organic collagenous matrix, which accounts for 40% of bone mass and provides tensile strength. Calcium hydroxyapetite and phosphate compounds, mineralize the collagenous bone matrix and account for 60% of bone mass and bone's compressive strength. It is usually asymptomatic until fractures occur. Patients present with backache of varying degrees of severity or spontaneous fracture or collapse of a vertebra. Ref: Current Medical Diagnosis and Treatment, 2012, Chapter 26; Textbook Of Orthopaedics By Kotwal, Page 108